All these are the properties of exotoxin except:
1. Heat stable
2. Highly antigenic
3. Neutralized by antibodies
4. Protein in nature

Correct answer: 1. Heat stable

Explanation: (Refer: Anantha Narayanan and Paniker’s Textbook of Microbiology, 9th edition, pg no: 75)
Differences between Exotoxin and Endotoxin